Which of the following is a bacteriological indicator of water quality?
1. Staphylococcus aureus
2. Clostridium tetani
3. E.coli
4. Yersinia pestis

Correct answer: 3. E.coli

Explanation: Coliform organisms: Primary & most reliable bacterial indicator for water quality. E. coli is most important coliform indicator. Fecal streptococci: Indicate 'recent contamination of water'. Clostridium perfringens: Indicate 'remote contamination of water'.